The most likely diagnosis in a 23 year old, mentally alert, mate dwarf with disproportionate arm and leg to body growth, prominent forehead and retruded maxilla is
1. Cretinism
2. Pituitary dwarfism
3. Acromegaly
4. Achondroplasia

Correct answer: 4. Achondroplasia